A toddler has few drops of blood coining out of rectum. Probable diagnosis is:
1. Juvenile rectal polyp
2. Adenomatous Polyposis Coli
3. Rectal ulcer
4. Piles

Correct answer: 1. Juvenile rectal polyp

Explanation: Ans. a. Juvenile rectal polyp (Ref: Sabiston 19/e p1342; Schwartz 9/e p1043: Bailey 25/e p1228; Schackelford 7/e p2030; Harrison 19/e p537, 18/e p313, 352; 17/e p250)Most common cause of passage of few drops of blood per rectum in a toddler is Juvenile rectal polyp.Juvenile polypsJuvenile polyps are the MC type of colorectal hamartomasQOccur most commonly in children <5 years of ageQ.Up to 80% of juvenile polyps occur as a single lesion of the rectumQTypical symptoms are rectal bleeding, mucus discharge, diarrhea, and abdominal painQ.Also called retention polyps due to the inflammatory obstruction of the crypt necks that leads to cystic dilation of the mucus-filled glands.No increased risk of cancerQ